Orange - skin cornea is due to
1. Siderosis
2. Chalcosis
3. Mustard gas
4. Lindane

Correct answer: 3. Mustard gas

Explanation: Mustard gas is Dichloroethyl sulphide causes orange skin cornea.